A 30 year old unmarried woman from a low socioeconomic status family believes that a rich boy staying in her neighbourhood is in deep love with her. The boy clearly denies his love towards this lady. Still the lady insists that his denial is a secret affirmation off his love towards her. She makes desperate attempts to meet the boy despite resistance from her family. She also develops sadness at times when her effort to meet the boy does not materialize. She is able to maintain her daily routine. She however, remains preoccupied with the thoughts of this boy. She is likely to be suffering from -
1. Delusional disorder
2. Depression
3. Mania
4. Schizophrenia

Correct answer: 1. Delusional disorder

Explanation: This patient has :-


Delusion of love/erotomanic delusion (an erotic conviction that a person with higher status in love with her).
Social and occupational activities are unaffected (she is able to maintain her daily routine).


Diagnosis is delusional disorder with content of love → De - clerambault's syndrome.